Chlamydia trachomatis does not cause -
1. Salphingitis
2. Vulvitis
3. Cervicitis
4. Urethritis

Correct answer: 2. Vulvitis